Left gastric artery is a branch of ?
1. Hepatic artery
2. Splenic artery
3. Superior nesenteric artery
4. Coeliac trunk

Correct answer: 4. Coeliac trunk

Explanation: Ans. is 'd' i.e., Coeliac trunk Arterial supply of stomach is as follows -Along lesser curvature : Left gastric artery (branch of coeliac trunk) and right gastric artery (branch of proper hepatic artery).Along greater curvature : Right gastroepiploic artery (branch of gastroduodenal artery) and left gastroepiploic artery (branch of splenic artery).Fundus 5-7 short gastric arteries (branches of splenic artery).Most consistently largest artery to stomach is left gastric artery.